DEC (Di–ethyl–carbamazine) is used for the treatment of :
1. Filariasis
2. Dracunculiasis
3. Schistosomiasis
4. Taeniasis

Correct answer: 1. Filariasis